A 30-year-old patient presented with features of acute meningoencephalitis in the casualty. His CSF on wet mount microscopy revealed motile unicellular microorganisms. The most likely organism is
1. Naegleria fowleri
2. Acanthamoeba castellan
3. Entamoeba histolytica
4. Trypanosoma cruzi

Correct answer: 1. Naegleria fowleri

Explanation: (A) Naegleria fowleri # The clinical syndrome associate a with N. fowleri infection is Primary 'amoebic' meningoencephalitis (RAM).> When naegleria are suspected they can be identified by their Motility in wet preparation.> Acute meningoencephalitis which can be caused by either Naegleria or Acanthamoeba. (Entamoeba histolytica and T. cruzi do not cause it.> Out of Naegleria and Acanthmoeba only Naegleria are motile on CSF wet mount.> Aqanthmoeba actually cause Granulomatous amoebic encephalitis.